All are seen in tetralogy of fallot except
1. VSD
2. RVH
3. ASD
4. PS

Correct answer: 3. ASD

Explanation: TOF include RVH,VSD,PS. Ghai essential of pediatrics, eighth edition, p.no:420